About HUS all are true except -
1. Most commonly caused by verocytotoxic Coli
2. Causes mild to severe coombs positive hemolytic anemia
3. Recurrences rare
4. Transient thrombocytopenia

Correct answer: 2. Causes mild to severe coombs positive hemolytic anemia

Explanation: Ans. (b) Causes mild to severe coombs positive hemolytic anemia(Ref: Robbins 9th/pg 942-943; 8th/pg 952-953)Typical HUS gives rise to coombs negative hemolytic anemia because autoantibodies are absent; HUS & TTP have been explained in detail in the chapter 12 on Bleeding disorders.